The amniotic fluid is completely replaced in every:
1. 3 hours
2. 6 hours
3. 9 hours
4. 12 hours

Correct answer: 1. 3 hours

Explanation: 3 hours